All are features seen in Chronic Pancreatitis except
1. Chronic persistent pain
2. Diarrhea, Steatorrhoea
3. Calcification
4. Paralytic ileus

Correct answer: 4. Paralytic ileus

Explanation: pain due to irritation of retroperitoneal nerves or ductal dilatation and stasis or due to chronic inflammation itself Diarrhoea and steatorrhea due to exocrine dysfunction Calcifications mainly in alcoholics due to direct toxicity,necrosis,scarring,obstruction and degeneration SRB's manual of surgery 5th edition,693,694